Painless haematuria is found in all EXCEPT:
1. Cystitis
2. Renal carcinoma
3. Chronic glomerulonephritis
4. PCKD

Correct answer: 1. Cystitis

Explanation: Cystitis REF: William's 22' ed chapter48 Cystitis is characterized by dysuria, urgency and hematuria